Muscle causing flexion of hip ?
1. Biceps femoris
2. Psoas major
3. Gluteus maximus
4. TFL

Correct answer: 2. Psoas major

Explanation: Ans. is 'b' i.e., Psoas major